Woronoff ring is
1. Ring of lesions seen over axilla,groin when hands are rested on trunk
2. Annular hypopigmented ring around lesions of psoriasis
3. Ring shaped pruritic lesions over dorsum of foot
4. Annular shaped erythematous rash around eyes in allergic dermatitis.

Correct answer: 2. Annular hypopigmented ring around lesions of psoriasis